Pregnancy should be strongly discouraged in women with :
1. Mitral stenosis
2. ASD
3. VSD
4. Eisenmenger's

Correct answer: 4. Eisenmenger's

Explanation: Eisenmenger's